Therapeutic drug monitoring is used in -
1. Diuretic
2. Metformin
3. Levodopa
4. Digoxin

Correct answer: 4. Digoxin

Explanation: Ans. is 'd' i.e., Digoxin Therapeutic drug monitoring is particularly useful in following situations -1. Drugs with low safety margin -a) Digoxinb) Anticonvulsantsc) A ntiarryth micsd) Theophyllinee) Aminoglycoside antibioticsf) Lithiumg) Tricyclic antidepressants2. If individual variations are large - Antidepressants, Lithium3. Potentially toxic drugs used in presence of renal failure - Aminoglycoside antibiotic, vancomycin, cyclosporine4. In case of poisoning5. In case of failure of response without any apparent reason - Antimicrobials6. To check patient compliance - Psycho-pharmacological agents.o Drugs whose response is easily measurable eg. hvpoglycaemics (metformin), antihypertensive, diuretics, oral anticoagulants and general anaesthetics, monitoring of plasma cone, is of no value.